A 2-year-old child with history of fall one year back with parietal bone fracture now presented with painful and growing parietal swelling.
1. Growing scalp hematoma
2. Growing fracture
3. Subdural hygroma
4. Chronic abscess

Correct answer: 2. Growing fracture

Explanation: (b) Growing fracture,Ref: Growing skull fractures: classification and management. Naim-Ur-Rahman et al Br J Neurosurg. (1994)Growing Fractures:* Also known as traumatic encephaloceles or leptomeningeal cysts* Skull fractures associated with an underlying dural tear may fail to heal properly.* Enlargement of the defect is caused due to herniation of brain, or a leptomeningeal cyst, or dilated ventricles.* Neurologic symptoms may be found if associated compression of the underlying brain is present.* Occur primarily in children with age < 3 years and with diastasis greater than 3 to 4 mm.* Usually detected within one year of an acute head injury as a localized swelling or palpable skull defect that increases in size.